Eustachian tube patency is seen by-
1. Valsalva
2. Methylene blue test
3. Tonybee test
4. All of the above

Correct answer: 4. All of the above